Which of the following cements is contraindicated in mouth breathers:
1. Silicate
2. ASPA
3. Polycarboxylate
4. Zinc phosphate

Correct answer: 1. Silicate